Presence of >10% plasma cells with no lytic lesion and M protein in serum is seen in?
1. Smoldering myeloma
2. Multiple myeloma
3. Monoclonal Gammopathy of unknown significance
4. Non secretory Myeloma

Correct answer: 1. Smoldering myeloma

Explanation: Ans. (a) Smoldering myelomaRef: Harrison 19th ed./715Diagnostic Criteria for Multiple MyelomaMONOCLONAL Gammopathy of Undetermined Significance is defined by the presence of three criteria:* Serum monoclonal M protein (M-protein) concentration < 3g/dL* Bone marrow plasma cell concentration < 10%* No evidence of end organ damageSmoldering MM is present when the:* Serum M protein concentration is > 3 g/dL* Bone marrow plasma cell concentration is > 10%* No evidence of end-organ damage.Symptomatic myeloma is present when the* M-protein > 30 g/L* Bone marrow clonal cells > 10%* Must have evidence of ROTI (end-organ damage) that can be attributed to the plasma cell proliferative process; manifested by CRAB (calcium, renal failure, anemia, and bone lesions.